The neurotransmitters; nor–adrenaline, adrenaline and dopamine act through which of the following receptors ?
1. Single pass transmembrane receptors
2. Four pass transmembrane receptors
3. Seven pass transmembrane receptors
4. Ligand gated receptors

Correct answer: 3. Seven pass transmembrane receptors